Trichophyton species can infect-
1. Skin, hair and nail
2. Skin and nail
3. Hair and nail
4. Skin and hair

Correct answer: 1. Skin, hair and nail

Explanation: Ans. is 'a' i.e., Skin, hair and nail